About Retinitis pigmentosa all are true EXCEPT:
1. Night blindness
2. Waxy disc
3. Early loss of central vision
4. Attenuation of retinal vessels

Correct answer: 3. Early loss of central vision

Explanation: ANSWER: (C) Early loss of central visionREF: khurana 4th ed p. 260-262Retinitis pigmentosaNight blindness is earliest featureDefective dark adaptationPartial or ring scotomaTubular visionLoss of central vision by age of 50-60 yearsFundus changesRetinal pigmentary changes typically perivascular and resemble bone corpuscles in shapeAttenuated or narrowed retinal arteriolesPale and waxy optic discs